Which of the following is not a feature of heat stroke
1. Very high body temperature
2. Dry, hot skin
3. Sweating
4. Constricted pupils

Correct answer: 3. Sweating

Explanation: There is no sweating in heat stroke.